Stylalgia is also called as
1. Eagle syndrome
2. Costen's syndrome
3. Sluder syndrome
4. Ramsay Hunt syndrome

Correct answer: 1. Eagle syndrome

Explanation: Ans. a (Eagle syndrome) (Ref. Head and Neck Surgery - Otolaryngology (2-Volume Set) 3rd ed., ch. 9)Eagle syndrome is Caused by elongation and calcification of the styloid process along with calcification of the stylohyoid ligament. Symptoms are parapharyngeal pain, dysphagia, odynophagia, trismus, headache, and facial pain.Causes of Facial PainSinusitisIs a common cause of facial pain and headache.Trigeminal neuralgiaUsually induced by palpation of a trigger zone, causes severe pain.Sphenopalatine neuralgia(Sluder syndrome)Is localized facial pain associated with vasomotor abnormality, such as lacrimation, rhinorrhea, and salivation. Pain involves the eye, nose, palate, maxillary teeth, ear, & temple.Glossopharyngeal neuralgiainvolves unilateral throat pain associated with ipsilateral rhinorrhea, salivation, coughing, and facial burning.Postherpetic neuralgiaIs similar to trigeminal neuralgia. It occurs after attacks of herpes zoster.Trotter syndromeInvolves pain in the mandibular division of cranial nerve V, unilateral deafness, ipsilateral palate hypomotility, and trismus.Ramsay Hunt syndromeIs caused by herpes zoster infection of the geniculate ganglion. Signs are vesicles on the ear, oral mucosa, tonsils, pharyngeal mucosa, and posterior third of the tongue; facial palsy; loss of taste; decreased salivation; palatal paralysis; and pain.Vail syndromeVidian nerve neuralgia, causes unilateral pain of the nose, eye, face, neck, and shoulder.Horner syndromecaused by interruption of sympathetic pathways in the medulla, spinal cord, and sympathetic trunk. This syndrome is characterized by constriction of pupils, enophthalmos, ptosis, and decreased sweating of the ipsilateral face.Gustatory lacrimal rflx(crocodile tears)Is ipsilateral tearing when spicy foods are placed on the tongue. This is caused by faulty regeneration of nerves responsible for salivation with those responsible for lacrimation.Frey syndrome (auriculotemporal syndrome) causes flushing, a sensation of heat, and excessive perspiration over the cheek and pinna after ingestion of spicy food. This is caused by misdirected regeneration of secretomotor fibers, often after injury to the auriculotemporal nerve.